What is true about confounding factor?
1. It is found equally between study and control groups
2. It itself is a risk factor for the disease
3. Confounding can be eliminated by selecting a small group
4. It is associated with either the exposure or the disease

Correct answer: 2. It itself is a risk factor for the disease

Explanation: Confounding factor is defined as one which is associated with both exposure and disease and is distributed unequally in study and control groups. (refer pg no:72 park 23 rd edition)